All are motile, EXCEPT:
1. Cl.histolyticum
2. Cl.tetanosporum
3. Cl.perfringens
4. Cl.septicum

Correct answer: 3. Cl.perfringens

Explanation: C perfringens is a large, Gram-positive, nonmotile rod with square ends. Hemolysis and gas production are characteristic. In broth containing fermentable carbohydrate, growth of C perfringens is accompanied by the production of large amounts of hydrogen and carbon dioxide gas, which can also be produced in necrotic tissues; hence the term gas gangrene. Ref: Ray C.G., Ryan K.J. (2010). Chapter 29. Clostridium, Peptostreptococcus, Bacteroides, and Other Anaerobes. In C.G. Ray, K.J. Ryan (Eds), Sherris Medical Microbiology, 5e.